Which of the following enzymes is used in the treatment of Acute Lymphocytic Leukemia
1. Asparginase
2. Amylase
3. Lipase
4. Transaminase

Correct answer: 1. Asparginase

Explanation: Answer is A (Asparginase): L-Asparginase is one of the most important drugs in the treatment of both childhood and adult ALL L-asparagine is an amino acid that plays an essential role in protein. DNA and RNA synthesis and the survival of leukemic cells. L-Asparginase exerts its anti- leukemic activity by generating a state of relative L-Asparagine deficiency within blast cells. The usefulness of L-Asparginase therapy in Acute Lymphocytic Leukaemia (ALL) is more extensively documented in paediatric than in adult trials. Asparginase remains an important and universal component for the treatment of paediatric ALL and is being increasingly used for treatment of Adult ALL..